The highest percentages of polyunsaturated fatty acids are present in -
1. Groundnut oil
2. Soyabean oil
3. Margarine
4. Palm oil

Correct answer: 2. Soyabean oil

Explanation: Ans. is 'b' i.e., Sovabean oil o Amongst the given options, sunflower oil has maximum polyunsaturated fatty acids (LA and ALA). Otherwise, sfflower oil has maximum PUFA overall.